Karyotyping is useful in the diagnosis of?
1. Autosomal recessive disorders
2. Chromosomal abnormalities
3. X-linked recessive disorders
4. Biochemical abnormalities

Correct answer: 2. Chromosomal abnormalities

Explanation: Karyotyping is the study of chromosomes and is used in cytogenetics to study the chromosomal abnormalities. After arresting the cells in metaphase the chromosomes are examined to see for:
• Change in Number of chromosomes - To detect abnormalities in chromosome numbers such as aneuploidy (trisomy, tetrasomy), polyploidy.
• For detection of structural chromosomal anomalies such as translocation, deletions, inversion of chromosomes